The Fourth stage of demographic cycle is know as
1. Low stationary
2. Late Expanding
3. High stationary
4. Declining

Correct answer: 1. Low stationary